Maximal reduction in gastric acidity is achieved by ?
1. Truncal vagotomy and pyloroplasty
2. Truncal vagotomy and antrectomy
3. Partial gastrectomy
4. Highly selective vagotomy

Correct answer: 2. Truncal vagotomy and antrectomy

Explanation: Ans. is 'b' i.e., Truncal vagotomy and antrectomy